A 6 year old child has history of birth asphyxia does not communicate well, has slow mental and physical growth, does not mix with people, has limited interest, gets widely agitated if disturbed, diagnosis is –
1. Hyperkinetic child
2. Autistic disorder
3. Attention deficity disorder
4. Schizophrenia

Correct answer: 2. Autistic disorder